Fatal familial insomnia is associated with :
1. Prion disease
2. Degenerative disease
3. Neoplastic disease
4. Vascular disease

Correct answer: 1. Prion disease

Explanation: Answer is A (Prion Disease): Fatal familial insomnia is one of the commonly caused prion disease. PRIONS refer to a class of proteinacious infectious particles without any detectable nucleic acid i.e. 'virus like particles without the nucleic acid components'. - Ananthnarayan 6th /416 As can be expected they are sensitive to proteasesQ (contain protein) but resistant to nucleasese (do not contain nucleic acid) as well as to heat & UV rays. The most commonly caused prion diseases include`: Kura Creutzfeildt - Jakob diseaseQ Gestermann - Straussler - Scheinker syndrome Q Fatal familial insomnia Q